Metabolic changes associated with excessive vomitting includes the following:
1. Metabolic acidosis
2. Hyperchloremia
3. Hypokalemia
4. Decreases bicarbonates

Correct answer: 3. Hypokalemia

Explanation: Answer is C (Hypokalemia) Loss of gastric secretions results in Hypokalemia. Loss of gastric contents results in volume depletion and metabolic alkalosis both of which promote kaliuresis. (Leads to hypokalemia) Repeated vomitings may have many deleterious effect: Aspiration Pneumonitis may be seen in the unconscious.